AVN of the hip may occur following which of the following fractures?
1. Intertochanteric fracture of the hip
2. Subtrochanteric fracture
3. Transcervical fracture of the neck of femur
4. Fracture of posterior lip of the acetabulum

Correct answer: 3. Transcervical fracture of the neck of femur

Explanation: Ans. is 'c' i.e., Transcervical fracture of the neck of femur Fractures causing post traumatic AVN (Osteonecrosis)o Fracture of the neck of femuro Fracture of the Scaphoid (Proximal pole> Waist)o Fracture neck of taluso Posterior dislocation of the hip